Which of the following is the drug of choice for follicle induction for infertility in PCOS:
1. Clomiphene citrate
2. GnRH agonist
3. Combined oral Pills
4. Letrozole

Correct answer: 4. Letrozole

Explanation: Letrozole is the Drug of choice for Induction of ovulation in a case of PCOS; Mode of action- Aromatase Inhibitor Decrease Estrogen production Inhibit Negative feedback on FSH Letrozole preferred over Clomiphene Citrate because less chances of multifetal pregnancy high live birth rate OHSS : Rare with it Given for 5 days (D5-D9) Start with 2.5mg Max dose 7.5mg